Which of the following best denotes classical complement pathway activation in immuno inflammatory condition:
1. C2, C4 and C3 decreased
2. C2 and C4 normal, C3 is decreased
3. C3 normal and C2, C4 decreased
4. C2, C4, C3 all are elevated

Correct answer: 1. C2, C4 and C3 decreased

Explanation: Answer is A (C2, C4 and C3 decreased): The final outcome of both the pathways is formation of membrane attack complex , which causes lysis of cells.